Which of the following fatty acid present in fish-oil is known for its cardio-protective function?
1. Arachidonic acid
2. Eicosapentaenoic acid
3. Linoleic acid
4. Palmitic acid

Correct answer: 2. Eicosapentaenoic acid

Explanation: Eicosapentaenoic acid (EPA): o3 fatty acid Present in fish-oil Known for its cardio-protective action EPA inhibits the formation of thromboxanes (TX2) which are potent platelet aggregators. Hence, the intake of o3 fatty acids promotes platelet disaggregation.